The vessel which needs to be ligated in a patient with a bleeding peptic duodenal ulcer is?
1. Left gastroepiploic artery
2. Gastroduodenal artery
3. Left gastric artery
4. Superior Pancreatico-duodenal artery

Correct answer: 2. Gastroduodenal artery

Explanation: Ans. (b) Gastroduodenal arteryRef: Bailey and Love 26th ed./1023* Perforations involving the gastroduodenal artery complex occur as a sequel to transmural ulceration of the posterior duodenal wall.* The gastroduodenal artery, is a branch of the hepatic artery, passes behind the first part of the duodenum, and is responsible for bleeding in duodenal ulcer.